In a measurement of cardiac output using the Fick principle, the O2 concentrations of mixed venous and arterial blood are 16 and 20 ml/min, respectively and the O2 consumption is 300 ml/min, The cardiac output in liters/ min is:
1. 5
2. 8
3. 9 Type II Cortical interstitial cells
4. 7.5

Correct answer: 4. 7.5

Explanation: Fick's principle for measuring cardiac output - Given values are - O2 consumption - 300 ml / min Arterial O2 - 20 ml Venous O2 - 16 ml 7.5 Lt / min